The substance that is present in both serum and plasma is:
1. Fibrinogen
2. Factor VII
3. Factor V
4. Factor II

Correct answer: 2. Factor VII

Explanation: Factor VII or stable factor - Is present in plasma and is also stable in serum ("Noble factor"). It is essential for generation of Tissue Thromboplastin. Its congenital deficiency rarely gives rise to coagulation defects.